Bartholin's duct opens into the:
1. Upper part of vagina
2. Lower and posterior fornix of vagina
3. External to the hymen, on the inner side of labium minora
4. Urethra

Correct answer: 3. External to the hymen, on the inner side of labium minora

Explanation: Ans. C i.e. External to the hymen, on the inner side of labium minora